The deliusion which involves replacement of a familiar person by someone else is ?
1. Capgras syndrome
2. Cotard syndrome
3. Othello syndrome
4. None

Correct answer: 1. Capgras syndrome

Explanation: Ans. is 'a' i.e., Capgras syndrome DSM is characterized by misidentification delusions of other or self. Four main syndromes are differentiated : ? Capgras syndrome (Delusion of double) : - Patient falsely sees a familiar person as a complete stranger who is impoing on him as a familiar person. Fregoli syndrome (illusion de fregoli) : - The patient falsely identifies stranger as familiar person. Syndrome of subjective double : - The patients own self is perceived as being replaced by a double. Syndrome of intermetamorphosis : - A false belief that a person can transform into another person. These syndrome most commonly appear in schizophrenia. Other causes are Alzheimer syndrome, head injuries, and delusional disorders.